Oligohydramnios is seen in -
1. Renal agenesis
2. Oesophageal atresia
3. Exomphalos
4. Neural tube defect

Correct answer: 1. Renal agenesis

Explanation: Ans. is 'a' i.e. Renal agenesis Renal agenesis prevents urine formation which leads to oligohydramnios.Oligohydramnios is condition where amniotic fluid is deficient in amount to the extent of 100ml or entirely absentAetiologyRenal agenesis*Amnion nodosum*IUGR*Post maturity*Obst. of urinary tract (post urethral Valve*)